Which of the following is omega 6 fatty acid
1. α - Linolenic acid
2. γ - Linolenic acid
3. Timnodonic acid
4. Cervonic acid

Correct answer: 2. γ - Linolenic acid

Explanation: Omega 6 fatty acids

Linoleic acid
γ Linolenic acid
Arachidonic acid.

Omega 3 fatty acids

α - linolenic acid
Timnodonic acid (Eicosapentaenoic acid)
Cervonic acid (Decosahexaenoic acid)